TNF is secreted by activated:
1. Macrophages
2. Neutrophils
3. Lymphocytes
4. Eosinophils

Correct answer: 1. Macrophages

Explanation: Ans: a (Macrophages) Ref: Robbins,7th ed, p. 71; Ananthanarayan, 7th ed, p. 144; Table 16-2TNF and IL1 are the main mediators of inflammation. They are produced mainly by the activated macrophages.Cytokines and their main sourcesILl, IL 8- MacrophagesIL 2, 3, 9, 10, 12, 13- T cellsIL 4, 5, 6- Helper cellsIL 7, 11- Stromal cells (7 spleen also)IFN a- Leucocyte -| MHC 1 - activate NK cellsIFNb- Fibroblast - | MHC 1 - activates NK cellsIFN g- T cell - | MHC 1 & 2 -| Ag presentationTNF a- Macrophage/ MonocyteB for both TNF b- T cellsLIF-T TGF b- Both B & T cells LIF- T cells